Which of the following branch of CN V3 runs in the mandibular canal?
1. Inferior alveolar nerve
2. Auriculotemporal nerve
3. Lingual nerve
4. Buccal nerve

Correct answer: 1. Inferior alveolar nerve